A pregnant mother at 32 weeks gestation presents in preterm labor. Therapy with antenatal steroids to induce lung maturity in the fetus may be given in all of the following conditions except
1. Prolonged rupture of membranes for more than 24 hours
2. Pregnancy induced hypertension
3. Diabetes mellitus
4. Chorioamnionitis

Correct answer: 4. Chorioamnionitis

Explanation: Ans. is d, i.e. ChorioamnionitisRef. Meherban Singh 5/e, p 227: Fernando Arias 3/e, p 220; Sheila Balakrishnan p 230"Corticosteroids can be given even in presence of maternal hypertension or diabetes mellitus, but should preferably be avoided if PROM is associated with definitive evidence of chorioamnionitis" --Meherban Singh 5/e, p 227"Steroid treatment is contraindicated in presence of overt infection." --Fernando Arias 3/e, p 220There are some concerns that betamethasone available in India has only one components of betamethasone that is betamethasone sodium phosphate and does not have betamethasone sodium acetate which may not be very effective. Hence currently dexamethasone is becoming drug of choice and is economical also in India. Ref: JB Sharma pg 461